The drug used in both Hepatitis B & HIV
1. Telbivudine
2. Tenofovir
3. Entecavir
4. Ribavarin

Correct answer: 2. Tenofovir

Explanation: Tenofovir belongs to nucleoside reverse transcriptase inhibitors (NRTIs) class of anti-HIV drug.The HBV genome is a partially double-strand DNA genome that is repaired in infected cells to a fully double-strand circular DNA by the virion polymerase. ViralmRNAs are transcribed from the closed circular viral episome by the cellular RNA polymerase II and are translated to yield HBV proteins. In addition, a full-genome-length mRNA is packaged into viral core particles in the cytoplasm of infected cells as an intermediate for viral DNA replication.This RNA associates with the viral polymerase, which also has reverse transcriptase activity and converts the full-length encapsidated RNA genome into partially double-strand DNA. Thus, nucleos(t)ide analogs that inhibit reverse transcription (e.g., tenofovir) are commonly used to treat HBV infection. Harrison 19e pg: 214e-5